All of the following maintain the stability of ankle joint except
1. Cruciate ligament
2. Shape of the bones
3. Tendons of muscle which cross the joint
4. Collateral ligament

Correct answer: 1. Cruciate ligament

Explanation: ANKLE JOINT:- Synovial joint of hinge variety.Articular surfaces:-Upper-lower end of tibia including medial malleolus, lateral malleolus, and inferior transverse tibiofibular ligament.Lower-articular areas on upper, medial and lateral aspects of talus. Stability of ankle joint:- 1. Close interlocking of the articular surface. 2. Strong collateral ligaments on sides. 3. Tendons that cross the joint 4 in front-Tibialis anterior, EHL, EDL Peroneus tertius.3 posteromedially-Tibialis posterior, flexor digitorum longus,FHL .2 lateral-peroneus longus and brevis. The depth of the superior articular socket is contributed by 1. Downward projection of medial and lateral malleoli.2. Inferior transverse tibiofibular ligament. {Reference: BDC 6E page no.148}